Schizophrenia is treated by
1. Anti depressants
2. Anti psychotics
3. Anti epileptics
4. Mood stabilizers

Correct answer: 2. Anti psychotics

Explanation: Ans. is 'b' i.e., Anti psychotics